Most common recurrence sites or metastatic sites of malignancy following pelvic surgery are all except :
1. Carcinoma cervix -- Lateral pelvic wall and central pelvis
2. Carcinoma ovary -- Lung
3. Chorionepithelioma - Suburethral anterior vaginal wall
4. Carcinoma body --Vault of vagina

Correct answer: 2. Carcinoma ovary -- Lung

Explanation: Recurrence sites of malignancy Ca Cervix : 30% recurrence after 5 years and sites are pelvic side walls and central pelvis Choriocarcinoma : lower third of the vagina and vulva Carcinoma body : by implantation in vulva,vaginal vault pg no:365] SHAW'S TEXTBOOK OF GYNECOLOGY,15th edition D.C.DUTTA'S TEXTBOOK OF GYNECOLOGY,6TH EDITION